Which of the following drugs would be removed by dialysis -
1. Digoxin
2. Salicylates
3. Benzodiazepines
4. Organophosphates

Correct answer: 2. Salicylates

Explanation: Ans. is b i.e., Salicylates Forced alkaline diuresis or hemodialysis is indicated to remove the absorbed drug in severe cases of salicylate poisoning. Remember : Hemodialysis is not used in : 1. Organaophosphates 2. Benzodiazepines 3. Digitalis 4. Kerosene